Lugol's Iodine contains-
1. 5% iodine & 10% KI
2. 10% Iodine & 20% KI
3. 10% iodine & 15% KI
4. 5% iodine & 15% KI

Correct answer: 1. 5% iodine & 10% KI

Explanation: Ans. is `a' i.e., 5% iodine & 10% KI